Lysozyme and lactoferrin are present in which layer of tear film:-
1. Mucous layer
2. Aqueous layer
3. Lipid layer
4. All the layers

Correct answer: 2. Aqueous layer

Explanation: Lysozyme and lactiferrin are present in aqueous layer Aqueous layer Produced - 95% by main lacrimal gland 5% by accessory lacrimal gland of Krause and Wolfring Average aqueous tear flow - 1.2 ml /min Normal thickness - 7 mm Composition: -Water 98% -Lysozyme -Tear specific prealbumin -Immunoglobulin A -Other proteins(lactoferrin) Function: -Hydration -Lubrication -Antimicrobial action -Oxygenation -Mechanical debris removal